Which of the following is the most common renal cystic disease in infants is -
1. Polycystic kidney
2. Simple renal cyst
3. Unilateral renal dysplasia
4. Calyceal cyst

Correct answer: 3. Unilateral renal dysplasia

Explanation: In unilateral renal dysplasia, one kidney does not develop properly in the womb. ('Unilateral' means one side.) Most children born with one dysplastic kidney have no complications and do not need special treatment. Sometimes the other kidney grows larger than normal to make up for the dysplastic kidney Ref Harrison20th edition pg 267